Notochord develops into?
1. Annulus fibrosus
2. Dorsal root ganglia
3. Nucleus pulposus
4. Vertebral body

Correct answer: 3. Nucleus pulposus

Explanation: As the embryo enlarges,the notochord elongates considerably and lies in the midline,in the position to be later occupied by the vertebral column. However ,the notochord doesn't give rise to the vertebral column.most of it disappears,but parts of it persists in the region of each intervertebral disc as the nucleus pulposes HUMAN EMBRYOLOGY-INDERBIR SINGH TENTH EDITION-PAGE NO:60